Absence of Vi-antibody in a typhoid patient has:
1. Good prognosis
2. Bad prognosis
3. No relation with prognosis
4. Indicates widal negative

Correct answer: 2. Bad prognosis

Explanation: Ans. is. 'b' i. e., Bad prognosis